Antepartum bleed of fetal origin is:
1. Vasapraevia
2. Circumvallate placenta
3. Abruptio placenta
4. Placenta praevia

Correct answer: 1. Vasapraevia

Explanation: Ref: Outfit's Text Book of Obstetrics, 7th edition, Pg 258.Explanation:Vasa previa:Associated with velamentous placenta. where the umbilical cord is attached to the membranes.The umbilical cord vessels traverse through the membranes and lie below the presenting part.When the membranes rupture, the vessels are tom and bleeding occurs.Fetal mortality is high (50%) because of fetal exsanguination.Test to confirm bleeding of fetal origin - Singer's alkali denaturation test.